Ultimate desired state towards which objectives and resources are directed called
1. Objects
2. Goal
3. Target
4. Plan

Correct answer: 2. Goal

Explanation: B. i.e. (Goal) (721 - Park 19th) (771 - Park 20th)GOALis defined as the ultimate desired state towards which objectives and resources are directedOBJECTIVE(point) is precise - it is either achieved or not achieved. It is a planned end point of all activities, concerned directly with the problem, itselfTARGEToften refers to a discrete activity such as the number of blood films collected or vasectomies done. It permits the concept of degree of achievementPLANis a blue print for taking action, it consist of five major elements - objectives, policies, programmes, schedules and budget